Which anti tubercular drug will cause transient memory loss?
1. Ethionamide
2. INH
3. Ethambutol
4. Pyrazinamide

Correct answer: 2. INH